A 21-year-old patient in severe kidney failure receives a kidney from his 30-year-old brother. This type of transplantation is best described by which of the following?
1. Allograft: transplant from one species to the same species
2. Autograft: transplant from one region of a person to another region
3. Isograft: transplant from one person to a genetically identical person
4. Xenograft: transplant from one species to another species

Correct answer: 1. Allograft: transplant from one species to the same species

Explanation: Transplantation from one region of a person to another region of that same person is an autograft and has the best chance of succeeding. When a transplant is done between monozygotic twins, it is an isograft and has a complete MHC compatibility and a good chance of success. Allografts are between members of the same species, and xenografts are between members of different species. Both of these transplants have a high rate of rejection unless immunosuppression accompanies the transplant.